Complications of lobar pneumonia do not include
1. Lung abscess
2. Amyloidosis
3. Suppurative arthritis
4. Infective endocarditis

Correct answer: 2. Amyloidosis

Explanation: Common complications of severe CAP include respiratory failure,shock and multiorgan failure,coagulopathy,and exacerbation of comorbid illnesses.Three particularly noteworthy conditions are metastatic infection,lung abscess,and complicated pleural effusion.Metastatic infection can lead to brain abscess,suppurative arthritis, or infective endocarditis. Reference:Harrison' s Medicine-18th edition,page no:2136 .